Factors responsible for the development of multidrug resistant pneumonia are all, EXCEPT:
1. Widespread use of potent oral antibiotics
2. Earlier transfer of patients out of acute-care hospitals to their homes
3. Increased use of outpatient IV antibiotic therapy
4. Underlying lung cancer

Correct answer: 4. Underlying lung cancer

Explanation: Factors responsible for the development of multidrug resistant pneumonia are Widespread use of potent oral antibiotics Earlier transfer of patients out of acute-care hospitals to their homes or various lower-acuity facilities Increased use of outpatient IV antibiotic therapy General aging of the population More extensive immunomodulatory therapies Ref: Harrison, E-18, P-2130.